A 21 years old unmarried woman has premenstrual fullness of breast and pain, the likely diagnosis is :
1. Galactocele
2. Fibroadenosis
3. Fibroadenoma
4. Mastitis

Correct answer: 2. Fibroadenosis

Explanation: Ans. is b i.e. Fibroadenosis An unmarried 21 year old female is complaining of premenstrual fullness of breast and pain : lets rule out some options. Option "a" Galactocele Presents as a solitary sub areolar cyst and always dates from lactation. It contains milk. Since, our patient is unmarried, it is ruled out. Option "c- Fibroadenoma Presents as a freely mobile lump (breast mouse) without any pain. It occurs in 15-25 yrs. old female (age is consistent with patient) but then fibroadenoma does not cause pain. Option "d" Mastitis Occurs mainly in lactating female and pain is not premenstrual but constant in nature. Option Fibroadenosis It is usually seen in women of 4th and 5th decade of life (also not rare in young females) with complain of an intermittent mammary discomfort or an area of lumpiness or nodularity in the breast. The changes are generally bilateral. Pain is cyclical with a premenstrual exacerbation. Most likely the girl in question is suffering from fibroadenosis though her age is not consistent with the fibroadenosis.